The best skin graft for open wounds is -
1. Isograft
2. Homograft
3. Allograft
4. Autograft

Correct answer: 4. Autograft